What is the diagnosis in this infant who presents with recurrent fractures & multiple bony deformities?
1. Achondroplasia
2. Ehler-Danlos syndrome
3. Rickets
4. Osteogenesis imperfecta

Correct answer: 4. Osteogenesis imperfecta

Explanation: d. Osteogenesis imperfectaRecurrent fractures, multiple bony deformities and blue sclera suggest a diagnosis of Osteogenesis imperfecta